Little's area is situated in nasal cavity in:
1. Anteroinferior
2. Anterosuperior
3. Posteroinferior
4. Posteriorsuperior

Correct answer: 1. Anteroinferior

Explanation: LITTLE'S AREA (Anterior inferior part of nasal septum) - Usual site for epistaxis in children. Four Arteries anastomose here and form Kiesselbach's Plexus. Anterior ethmoidal artery(Ophthalmic artery) Sphenopalatine(Maxillary artery) Septal branch of superior labial(Facial artery) Greater palatine artery(Maxillary artery) Ref: Dhingra 7e pg 197.